Hanging is defined as -
1. Suspension of body by a ligature, body weight acting as constricting force
2. Suspension of body by ligature after death
3. Obliteration of air passages by external compression
4. Mechanical interference to respiration

Correct answer: 1. Suspension of body by a ligature, body weight acting as constricting force

Explanation: o Hanging is the form of asphyxia, caused by suspension of the body by a ligature that encircles the neck, the constricting force being weight of the body.